Varicose veins of size less than __can be best treated by sclerotherapy:
1. 2 mm
2. 3 mm
3. 4 mm
4. 6 mm

Correct answer: 2. 3 mm

Explanation: Sclerotherapy is useful for dealing with minor varicosities (<3 mm) and recurrences in the calf and lower leg. Amount of sclerosants used in treatment of varicose veins is 0.5 ml.